All are tuning fork test except:-
1. Schwaback test
2. Grants test
3. Rinne’s test
4. Weber's test

Correct answer: 2. Grants test

Explanation: Assessment of hearing
 Assessment of hearing is done by the following methods
1. Clinical tests: - Tuning fork tests
2. Audiometric tests
3. Special test